Acute pain in fibroid is due to all except.
1. Torsion
2. Red degeneration
3. Hyaline degeneration
4. Sarcomatous change

Correct answer: 3. Hyaline degeneration

Explanation: Ans. is c, i.e. Hyaline degenerationRef Shaw 16/ed, p397Pain in a fibroid can be due to Torsion/Haemorrhage & Red degeneration. Hyaline degeneration is a painless condition.